Phosphorus32 emits
1. Beta particles
2. Alpha particles
3. Neutrons
4. X–rays

Correct answer: 1. Beta particles